Maximum rise in Prolactin levels is seen with
1. Clozapine
2. Olanzapine
3. Risperidone
4. Ziprasidone

Correct answer: 3. Risperidone

Explanation: Risperidone is more potent D2 blocker than clozapine; extrapyramidal side effects are less only at low doses (<6 mg/day). Prolactin levels rise disproportionately during risperidone therapy, but it is less epileptogenic than clozapine. Ref:- KD tripathi; pg num:- 441